Which of the following is an absolute contraindication to liver transplantation?
1. Age >70
2. Portal vein thrombosis
3. Severe obesity
4. AIDS

Correct answer: 4. AIDS

Explanation: Absolute contraindications Relative contraindications Uncontrolled hepatobiliary infection Age >70 Sepsis Portal vein thrombosis AIDS Severe obesity Cholangiocarcinoma HIV sero-positivity with low CD4 counts Metastasis to liver PAH Advanced cardiopulmonary disease Psychiatric disorders Active substance/ alcohol abuse Congenital anomaly (Uncorrectable)